Tuberculosis control is achieved when -
1. Tuberculosis conversion index in infants is <1%
2. Prevalence on natural infection in age group 0-14 years is in order of 10%
3. Annual infection rate <5%
4. Prevalence of natural infection in 0-14 years is <1%

Correct answer: 4. Prevalence of natural infection in 0-14 years is <1%

Explanation: Park's Textbook of Preventive and Social Medicine 23rd edition Page no: 182 Tuberculosis control means reduction in the prevalence and incidence of disease in the community